The most common hormone other than gastrin contained in the gastric secreting islet cell tumour is:
1. ACTH
2. Glucagon
3. Melanocyte stimulating hormone
4. Growth hormone releasing factor

Correct answer: 1. ACTH

Explanation: Ans: aRef: Harrison, 14th ed, p. 1613